Suxamethonium is :
1. Non depolarizing muscle relaxant
2. Depolarising muscle relaxant
3. Direct acting muscle relaxant
4. All of the above

Correct answer: 2. Depolarising muscle relaxant